New name of mental retardation according to American Association of Mental Retardation:
1. Feeble Mindedness
2. Madness
3. Intellectual disability
4. Mentally unstable

Correct answer: 3. Intellectual disability

Explanation: Ans. c. Intellectual disabilityRef: First Aid for the Psychiatry Clerkship 4th Ed; Page No-122-23Intellectual disability (ID, intellectual developmental disorder) replaces the term mental retardation (MR) as per US law (Rosas Law), with the intention of decreasing stigmatization.ID is characterized by severely impaired cognitive and adaptive/social functioning.Severity level is currently based on adaptive functioning, indicating degree of support required.A single IQ score does not adequately capture this and is no longer used solely to determine ID severity.CAUSES OF MENTAL RETARDATIONCauseExamplesGenetic*. Down syndrome: Trisomy 21 (1/700 live births)*. Fragile X syndrome: Involves mutation of X chromosome, second most common cause of intellectual disability, M > F*. Others: Phenylketonuria, familial mental retardation, Prader-Willi syndrome, Williams syndrome, Angelman syndrome, tuberous sclerosisPrenatalInfection and toxins (TORCH):*. Toxoplasmosis*. Other (syphilis, AIDS, alcohol/illicit drugs)*. Rubella (German measles)*. Cytomegalovirus (CMV)*. Herpes simplexPerinatalAnoxia, prematurity, birth trauma, meningitis, hyperbilirubinemiaPostnatalHypothyroidism, malnutrition, toxin exposure, trauma, psychosocial CausesEXTRA MILECHARACTERISTIC PHYSICAL FEATURES OF GENETIC SYNDROMESDown syndrome: Epicanthic folds, flat nasal bridge, and palmar creaseFragile X syndrome: Macrocephaly, joint hyperlaxity, and macroorchidism in post pubertal males.Prader-Willi syndrome: Obese, small stature, and almond-shaped eyes.Fragile X syndrome facts and statisticsMost common inherited form of ID2nd most common cause of IDDue to FMR-1 gene mutationMales>femalesDown syndrome facts and statistics1/700 live birthsMost common chromosomal disorderTrisomy 21=3 copies of chromosome 21